Serious complication in pancreatic pseudocyst include all except
1. Intracystic hemorrhage
2. Secondary infection
3. Calcification in the cyst wall
4. Rupture of the cyst

Correct answer: 3. Calcification in the cyst wall

Explanation: Pseudocyst complications Infection (MC) :14% Pain due to expansion Hemorrhage upto 10% Duodenal obstruction Rupture Abscess Ref: Shackelford 7th edition Pgno :1159